Which organism causes toxin shock syndrome -
1. Pneumococcus
2. E. coli
3. Staphylococcus aureus
4. Enterococcus

Correct answer: 3. Staphylococcus aureus

Explanation: Ans. is 'c' i.e., Staphylococcus aureus Toxic shock syndromeo TSS is a potentially fatal multisystem disease characterized by sudden high fever, fainting, watery diarrhea, headache and muscle ache.o There are two types of TSS1. Staphylococcal TSSStaphylococcal TSS results from the elaboration of toxic shock syndrome toxin type-1 (TSST-1) also known as enterotoxin type F or pyrogenic exotoxin C.Enterotoxin B or C may also produce TSS.2. Streptococcal TSSStreptococcal TSS results from the elaboration of pyrogenic exotoxin A.